Which of the following is a cause of sudden blindness in a quiet eye with normal media and fundus?
1. Retrobulbar neuritis
2. Vitreous hemorrhage
3. Optic neuritis
4. Iridocyclitis

Correct answer: 1. Retrobulbar neuritis

Explanation: Retrobulbar neuritis: sudden blindness with normal media and fundus. In retrobulbar neuritis, disc edema is absent.